Which of the following is true regarding a phantom limb:
1. Occurs in leprosy
2. Follows amputation
3. Follows a psychiatric illness
4. After filariasis

Correct answer: 2. Follows amputation

Explanation: B i.e. Follows amputation. 'Phantom limb' is a late complication of amputationQ, and is used to describe the feeling that the amputated limb is still presentQ.